Which of the following liver disorders is a complication associated with oral contraceptives?
1. Drug-induced hepatitis with fatty change
2. Cholangiocarcinoma
3. Cavernous hemangiomas
4. Intrahepatic cholestasis

Correct answer: 4. Intrahepatic cholestasis

Explanation: Oral contraceptives produce an intrahepatic cholestasis that is unpredictable (not related to the dose). The incidence of liver cell adenomas is also increased as a result of oral contraceptive use. These vascular tumors have a tendency to rupture during pregnancy, particularly those in a subcapsular location. A purported increase in the incidence of focal nodular hyperplasia (FNH) is associated with oral contraceptive use. Grossly, FNH is characterized by a poorly encapsulated nodule that has a lighter color than the surrounding hepatic parenchyma. On cut section, a centrally located stellate scar radiates out to the periphery of the lesion. Microscopically, the hepatocytes between the scar tissue are normal. A slightly increased risk for hepatocellular carcinoma is another effect of birth control pills on the liver. Oral contraceptives are not associated with drug-induced hepatitis with fatty change, cholangiocarcinoma, cavernous hemangiomas, or fulminant hepatic failure.